WHO grade I tumour is located in Cerebellum On histological examination Rosenthal fibres seen what is the most probable diagnosis?
1. Medulloblastoma
2. Crainopharyngioma
3. Pilocytic astrocytoma
4. Ependymoma

Correct answer: 3. Pilocytic astrocytoma

Explanation: Pilocytic astrocytoma :

WHO grade I tumour.
Usually occurs in Cerebellum.
Biphasic tumour.
Rosenthal fibres seen.